Kleptomania means -
1. Irresistable desire to set fire
2. Irresistable desire to steal things
3. Compulsive hair pulling
4. Pathological gambling

Correct answer: 2. Irresistable desire to steal things

Explanation: Ans. is 'b' i.e., Irresistabie desire to steal thing impulse control disordero These disorders are characterized by failure to resist an impulsive behavior that may be harmful to self or others.There may be a feeling of release of tension by doing the act and a feeling of guilt after the act is over. Important impulse control disorder are : -i) Pyromania (Pathological fire setting)Kleptomania (Pathological stealing)Trichotillomania (Compulsive hair pulling)Pathological gamblingIntermittent explosive disorderImpulse control disorder not otherwise specifiedOniomania (Compulsion to shop/buying)Internet compulsion (Internet addiction)Cellular or Mobile phone compulsionCompulsive sexual behavior (sexual addiction).